Carotid artery stenosis screening invivo choice is :
1. USG
2. CT
3. MRI
4. Doppler

Correct answer: 4. Doppler

Explanation: Color doppler ultrasonography is the screening method of choice (not simple USG : option a is incorrect).
Carotid angiography is the investigation of choice for diagnosis.